Richest source of vitamin C -
1. Guava
2. Lime
3. Orange
4. Tomato

Correct answer: 1. Guava

Explanation: Ans. is 'a' i.e., Guava o The richest source of vitamin C is Indian goosebery (Amla),o Important sources of vitamin C in decreasing order : -Amla > Guava > Cabbage > Amaranath > Lime > Cauliflower > Orange > Spinach > Tomato > Potato